AIDS infect
1. B cells
2. Helper T cells
3. Killer T cells
4. Regular T cells

Correct answer: 2. Helper T cells